Which of the following vaccines DOESN'T provide herd immunity:
1. Hepatitis A
2. Rabies
3. Measles
4. Diphtheria

Correct answer: 2. Rabies

Explanation: Ans (b) RabiesRef: K. Park 23rd ed. /102, 21st ed. / 97* Herd immunity is the level of resistance of a community or a group of people to a particular disease.Vaccines which DONOT provide herd protectionVaccines which provide herd protection* Tetanus* Rabies* Japanese encephalitis* Hepatitis B* Yellow fever* Diphtheria* Pertussis* Measles* Mumps* Hepatitis ASmall poxRubellaMeningococcal vaccineRota virus vaccineH. influenza and pneumococcal V * Polio